A 30 year old female presents to the dermatology OPD with complaints of asymptomatic yellowish papules around the vermilion border of upper lip. What is the cause of the above condition?
1. Ectopic apocrine glands
2. Ectopic sebaceous glands
3. Apocrine gland hyperplasia
4. Sebaceous gland hyperplasia

Correct answer: 2. Ectopic sebaceous glands

Explanation: The condition is Fordyce's spots due to ectopic sebaceous glands found in about 25% of population above 35 years. Ref: Rook Textbook of Dermatology, 8th Edition, Page 42.86.